A child is below the third percentile for height. His growth velocity is normal, but chronologic age is more than skeletal age. The most likely diagnosis is ?
1. Constitutional delay in growth
2. Genetic short stature
3. Primordial dwarfism
4. Hypopituitarism

Correct answer: 1. Constitutional delay in growth

Explanation: Ans. is 'a' i.e., Contitutional delay in growth o This child has i) Short stature (height is less than 3rd percentile) ii) Normal growth velocity, iii) Chronological age > skeletal age o All these are features of Consititutional delay in growth (see previous explanations).